The "subclavian steal syndrome" occurs due to
1. Occlusion /stenosis of the vertebral artery
2. Occlusion/stenosis of the carotid artery
3. Occlusion of the subclavian artery proximal to origin of vertebral artery
4. Occlusion of the subclavian artery distal to origin of vertebral artery

Correct answer: 3. Occlusion of the subclavian artery proximal to origin of vertebral artery

Explanation: *Subclavian steal:when the arm is used,blood is stolen from the brain the vertebral artery .this lead to vertebro-basilar ischemia ,which is characterised by dizziness ,cortical blindness and/or collapse. Ref Harrison20th edition pg 2456